Extra-oral landmark for Gowgates technique of mandibular nerve block
1. Corner of the mouth
2. Intertragic notch
3. Both of the above
4. None of the above

Correct answer: 3. Both of the above